Not seen in William syndrome?
1. Elfin facies
2. Subvalvular aortic stenosis
3. Hypercalcemia
4. Hypertension

Correct answer: 2. Subvalvular aortic stenosis

Explanation: William's syndrome- Supravalvular aortic stenosis Intellectual disability Short stature Hypercalcemia and hypertension Face of a child with 'elfin facies' -small upturned nose, long philtrum, wide mouth, full cheeks, full lips, small chin, and puffiness around the eyes.